Niemann-Pick disease is due to deficiency of
1. Hexosaminidase
2. Sphingomyelinase
3. Galactokinase
4. Glucosidase

Correct answer: 2. Sphingomyelinase

Explanation: It is a lipid storage disease, due to deficiency of sphingomyelinase. Leads to the accumulation of sphingomyelin.Ref: DM Vasudevan, 7th edition, page no: 193